Protein metabolism after trauma is characterized by the following except -
1. Increased liver gluconeogenesis
2. Inhibition of skeletal muscle breakdown by interleukin 1 and tumour necrosis factor
3. Increased urinary nitrogen loss
4. Hepatic synthesis of acute phase reactants

Correct answer: 2. Inhibition of skeletal muscle breakdown by interleukin 1 and tumour necrosis factor